ECT is mainly indicated in:
1. Severe depression
2. Schizophrenia
3. Somatization disorder
4. Hysteria

Correct answer: 1. Severe depression

Explanation: Ans: a (Severe depression)Indications for Use of Electroconvulsive TherapyDiagnoses for which ECT may be indicatedMajor diagnostic indications- Major depression, unipolar and bipolarPsychotic depression, in particular-Mania, including mixed episodes-Schizophrenia with acute exacerbationCatatonic subtype, particularlySchizoaffective disorder-Other diagnostic indicationsParkinson's diseaseNeuroleptic malignant syndromeIntractable seizure disorderClinical indicationsPrimary use-Rapid definitive response required on medical or psychiatric grounds-Risks of alternative treatments outweigh benefits-Past history of poor response to psychotropics or good response to ECT-Patient preferenceSecondary use-Failure to respond to pharmacotherapy in the current episode-Intolerance of pharmacotherapy in the current episode-Rapid definitive response necessitated by deterioration of patient's condition